Not a disorder of protein misfoldig?
1. Alzheimer's disease
2. Tuberculosis
3. Cystic fibrosis
4. CJD (Creutzfeld-Jakob disease)

Correct answer: 2. Tuberculosis

Explanation: B i.e. TuberculosisAlizheimers, cystic fibrosis and prions diseases (eg Creutzfeld Jakob's disease, Kuru, fatal familia insomnia etc)Q occur due to protien misfolding.